Which one of the following drugs is used for fetal therapy of congenital adrenal hyperplasia?
1. Hydrocortisone
2. Prednisolone
3. Fludrocortisone
4. Dexamethasone

Correct answer: 4. Dexamethasone

Explanation: Recommendations for pregnancy at risk consists of administration of dexamethasome a steroid that readily crosses the placenta'